Which of the following opioid should not be used with MAO inhibitors
1. Pethidine
2. Pentazocine
3. Buprenorphine
4. Morphine

Correct answer: 1. Pethidine

Explanation: Pethidine (Meperidine) Toxicity/overdose:- Overdose of pethidine produces many excita tory effects--tremors, mydriasis, hyperreflexia, delirium, myoclonus and convulsions. This is due to accumulation of norpethidine which has excitant effects. Nonselective MAO inhibitors interfere with hydrolysis but not with demethylation of pethidine--norpethidine is produced in excess and excitement occurs. So, pethidine should not be used with MAO inhibitors. Ref:- kd tripathi; pg num:-475